Which of the following fungus is the MOST common causative agent of mycotic corneal ulcer?
1. Candida
2. Aspergillus
3. Penicillium
4. Cryptococcus

Correct answer: 2. Aspergillus

Explanation: Aspergillus is the most common causative agent of mycotic corneal ulcer. Candida and fusarium are other common causative agents. Causative agents of mycotic corneal ulcer: Filamentous fungi: Aspergillus, Fusarium, Alternaria, Cephalosporium, Curvularia and Penicillium. Yeasts: Candida and Cryptococcus. The salient features of a mycotic corneal ulcer are: Dry looking, greyish white with elevated rolled out margins Feathery finger like extensions into the surrounding stroma Presence of sterile immune ring Small satellite lesions around the ulcer Big hypopyon which may not be sterile Absent corneal vascularisation Ref: Ophthalmology By A. K. Khurana page 123.